Effective dose in radiation at 2 m, is 1 gray ; At 1 m, it will be
1. 0.25
2. 0.5
3. 2
4. 4

Correct answer: 4. 4